Which of the following structures is not at immediate risk of erosion by cholesteatoma?
1. Long process of incus
2. Fallopian canal containing facial nerve
3. Horizontal semicircular canal
4. Basal plate of stapes

Correct answer: 4. Basal plate of stapes

Explanation: Cholesteatoma has the property to destroy the bone by virtue of the enzymes released by it.Structures immediately at the risk of erosion are:-The long process of the incusFallopian canal containing facial nerveHorizontal/lateral semicircular canalRef: PL Dhingra, Diseases of Ear, Nose & Throat, 7th edition, pg no. 73 - 74